Coronary sinus opens into
1. Right atrium
2. Left atrium
3. Right ventricle
4. Left ventricle

Correct answer: 1. Right atrium